A 30 year-old male has jaundice. Blood examination shows total serum bilirubin 28 mg%, direct bilirubin 16 mg % and alkaline phosphatase 184 KA units. The Diagnosis is :
1. Haemolytic jaundice
2. Viral hepatitis
3. Chronic active hepatitis
4. Obstructive jaundice

Correct answer: 4. Obstructive jaundice

Explanation: Answer is D (Obstructive jaundice): The patient in question has high conjugated bilirubin levels (direct bilirubin > 50% of total bilirubin), along with alkaline phosphatase levels more than 6 times normal. The answer of choice therefore is obstructive jaundice. Approach: If direct conjugated bilirubin is greater than 15O of the total bilirubin, it is termed as direct bilirubinemia.